Decompression in tension pneumothorax can be done by inserting a largebore needle in
1. First intercostal space
2. Second intercostal space
3. Third intercostal space
4. None of the above

Correct answer: 2. Second intercostal space

Explanation: Treatment consists of immediate decompression and is managed initially by rapid insertion of a large-bore needle into the second intercostal space in the mid-clavicular line of the affected hemithorax. This is immediately followed by insertion of a chest tube through the fifth intercostal space in the anterior axillary line.